Aschoffs nodules are seen in:
1. Subacute bacterial endocarditis
2. Libman sacks endocarditis
3. Rheumatic carditis
4. Non bacterial thrombotic endocarditis

Correct answer: 3. Rheumatic carditis

Explanation: Aschoffs bodies are characteristic focal inflammatory lesion of acute rheumatic fever found in any of the three layers of the heart. (ref Robbins 7th/593,9/e558)